A tumor that follows the rule of 10 is-
1. Pheochromocytoma
2. Oncocytoma
3. Lymphoma
4. Renal cell carcinoma

Correct answer: 1. Pheochromocytoma

Explanation: Pheochromocytomas usually subscribe to a convenient "rule of 10s" :-


10% of pheochromocytomas arise in association with one of several familial syndromes. These include the MEN-2A & MEN-2B syndromes, type I neurofibromatosis, von Hippel-Lindau syndrome & Sturge-Weber syndrome.
10% of pheochromocytomas are extra-adrenal, occurring in sites such as organ of Zuckerkandl & carotid body, where these chromaffin-negative tumors are usually called paragangliomas to distinguish them from pheochromocytomas.
10% of nonfamilial adrenal pheochromocytomas are bilateral; this figure may rise to 70% in cases that are associated with familial syndromes.
10% of adrenal pheochromocytomas are biologically malignant, although the associated hypertension represents a serious & potentially lethal complication of even "benign" tumors.
10% of adrenal pheochromocytomas arise in childhood, usually the familial subtypes, and with a strong male preponderance. The nonfamilial pheochromocytomas most often occur in adults between 40 & 60 years of age, with a slight female preponderance.